All of the following are Anticholinesteroses used in Alzheimer's disease except
1. Rivastimine
2. Galantamine
3. Memantine
4. Donepezil

Correct answer: 3. Memantine

Explanation: Memantine is used to treat Alzeihmer's disease but it is not an anticholinesterase.It acts by blocking NMDA receptors.